which part of sperm helps in penetration of zona pellucida ?
1. head
2. middle piece
3. neck
4. acrosome

Correct answer: 4. acrosome

Explanation: Acrosome have acrosin enzyme which helps in penetration. Mitochondria is present in middle part.